Positive feedback action of estrogen for inducing luteinizing hormone surge is associated with which of the following steroid hormone ratios in peripheral circulation?
1. High estrogen : low progesterone
2. Low estrogen : high progesterone
3. Low estrogen : low progesterone
4. High estrogen : high progesterone

Correct answer: 1. High estrogen : low progesterone

Explanation: Ovulation is the process by which the oocyte-cumulus is released from the follicle. Toward the end of the follicular phase, estradiol levels increase dramatically and exerts a positive feedback effects at both the hypothalamus and anterior pituitary gland to generate the LH surge. So during ovulation peripheral blood shows elevated levels of estrogen. Progesterone is secreted by the corpus luteum, which is the remnant of the graffian follicle after the ova has been released. Thus, at the time of ovulation levels of progesterone is low, and its level rises only after ovulation. Ref: Williams Gynecology Chapter 15.